Enrichment media for cholera ?
1. VR medium
2. TCBS medium
3. Cary-Blair medium
4. Alkaline peptone water

Correct answer: 4. Alkaline peptone water

Explanation: Ans. is 'd' i.e., Alkaline peptone water